Breast Ca most important prognostic factor -
1. Lymph node status
2. Size of tumor
3. Skin involvement
4. Peude orange

Correct answer: 1. Lymph node status

Explanation: Ans. is 'a' i.e., Lymph node status o "Metastasis to ipsilateral axillary nodes predicts outcome after surgery more powerfully than tumor size does "o "The single most important predictor of 10 and 20 year survival rates in breast cancer is the number of axillary lymphnodes involved with metastatic disease".